Which one of the following is not a Pyridoxine Dependent disorder
1. Homocystinuria
2. Methyl-malonic-acidemia
3. Cystathioninuria
4. Xanthurenic aciduria

Correct answer: 2. Methyl-malonic-acidemia

Explanation: Methylmalonic acidemia is an autosomal recessive disorder of amino acid metabolism, involving a defect in the conversion of methylmalonyl-coenzyme A (CoA) to succinyl-CoA. Patients typically present at the age of 1 month to 1 year with neurologic manifestations, such as seizure, encephalopathy, and stroke. Reference: GHAI Essential pediatrics, 8th edition